A neonate is suspected to be suffering from necrotizing enterocolitis (NEC). On further examination and investigation, he is diagnosed to be bell's stage I NEC. The management of choice would be –
1. Laparotomy and proceed
2. Insertion of bilateral pelvic drains
3. Conservative management with IV fluids and antibiotics
4. Initial conservative management and laparotomy after 24 hours

Correct answer: 3. Conservative management with IV fluids and antibiotics

Explanation: The severity, radiology and management of NEC are best exemplified by the Modified Ben stating Criteria'.

MODIFIED BELL'S STAGING CRITERIA FOR NECROTIZING ENTEROCOLITIS